A child's growth variation is normal but bone development is not according to the chronological age. What is diagnosis?
1. Genetic
2. Dwarfism
3. Constitutional delay
4. Familial short stature

Correct answer: 3. Constitutional delay

Explanation: In constitutional delay, the bone age corresponds to the child's height age but is lower than chronological age by 2-4 yrs . Skeletal age is usually assessed by radiographic study of left hand and wrist. Ref- OP.Ghai, 9th edition